Which of the following is detected by the antigen detection test used for the diagnosis of P. Falciparum malaria
1. Circum-sporozoite protein
2. Merozoite surface antigen
3. Histidine-Rich-Protein I (HRP-I)
4. Histidine-Rich-Protein II (HRP-II)

Correct answer: 4. Histidine-Rich-Protein II (HRP-II)

Explanation: A useful approach is immunodiagnosis of malaria by detection of parasite-specific antigens using monoclonal antibodies The Para-Sight-F test (BD) is a dipstick antigen capture test targeting the "histidine-rich protein-2" (HRP-2), specific for P.falciparum. The test is sensitive, specific and rapid, results being ready in ten minutes.TEXTBOOK OF MEDICAL PARASITOLOGY, CKJ PANIKER,6TH EDITION, PAGE NO 91